Stimulation of which of the following areas of brain is experimentally used to control intractable pain -
1. Periaqueductal grey matter
2. Mesencephalon
3. Subthalmic nucleus
4. Medical fore brain bundle

Correct answer: 1. Periaqueductal grey matter